Nikolsky sign is positive in all except –
1. Pemphigus
2. Bullous pemphigoid
3. Toxic epidermal Necrolysis
4. Staphylococcal skin scaled syndrome

Correct answer: 2. Bullous pemphigoid